Deep peroneal nerve supplies?
1. First web space of foot
2. Anterolateral aspect of leg
3. Fourth web space of foot
4. Lateral aspect of foot

Correct answer: 1. First web space of foot

Explanation: First web space of foot is supplied by deep peroneal nerve while the rest three web spaces are supplied by superficial peroneal nerve.